Serological testing of patient shows HBsAg, IgM Anti-HBc and HBeAg positive . The patient has-
1. Chronic hepatitis B with low infectivity
2. Acute hepatitis B with high infectivity
3. Chronic hepatitis with high in fectivity
4. Acute on chronic hepatitis

Correct answer: 2. Acute hepatitis B with high infectivity

Explanation: HBs Ag is the first marker appear in the blood after infection. Anti HBc is the earliest antibody seen in blood. HBeAg indicates infectivity REF:MICROBIOLOGY ANANTHA NARAYANAN NINTH EDITION PAGE.546&547